Albumin is
1. Nucleo protein
2. Chromo protein
3. Phospho protein
4. Simple protein

Correct answer: 4. Simple protein